Pharmaceutical product, benzoic acid, is detoxified by binding with which of the following amino acid?
1. Alanine
2. Glycine
3. Tyrosine
4. Leucine

Correct answer: 2. Glycine

Explanation: Metabolites and pharmaceuticals excreted as water-soluble glycine conjugates include glycocholic acid and hippuric acid formed from the food additive benzoate. Many drugs, drug metabolites, and other compounds with carboxyl groups are excreted in the urine as glycine conjugates. Ref: Rodwell V.W. (2011). Chapter 30. Conversion of Amino Acids to Specialized Products. In D.A. Bender, K.M. Botham, P.A. Weil, P.J. Kennelly, R.K. Murray, V.W. Rodwell (Eds), Harper's Illustrated Biochemistry, 29e.